Which of the following nuclei belongs to the general visceral efferent column?
1. Facial nerve nucleus
2. Trigeminal motor nucleus
3. Dorsal nucleus of vagus
4. Nucleus ambigous

Correct answer: 3. Dorsal nucleus of vagus

Explanation: The general visceral efferent fibres (GVE) arises from nuclei of general visceral efferent column and supply the glands and the smooth muscles of vessels and viscera. These fibres form the CRANIAL OUTFLOW of the parasympathetic nervous system. The GVE nuclei are: Edinger Westphal nucleusLacrimatory nucleusSuperior salivatory nucleus Inferior salivatory nucleus Dorsal nucleus of vagus nerve (Ref: Vishram Singh textbook of clinical neuroanatomy, second edition, pg-92)